A 55 year old patient with disseminated tuberculosis is prescribed drugs. Which of the following might be seen in patient of TB, who has regularly been injecting intramuscular injection of streptomycin:
1. Blindness
2. Increased AST levels
3. Impotence
4. Deafness

Correct answer: 4. Deafness

Explanation: Deafness